Muscle in the lid attached to posterior tarsal margin is:
1. Levator palpebrae superioris
2. Superior oblique
3. Muller's muscle
4. Superior rectus

Correct answer: 3. Muller's muscle

Explanation: Ans. Muller's muscle